A new born presents with deepening cyanosis at birth, with congestive heart failure and normal first heart sound. X-ray reveals cardiomegaly diagnosis is ____________
1. Tetralogy of fallot's
2. Ebstein anomally
3. Transposition of great vessels
4. Tricuspid atresia

Correct answer: 3. Transposition of great vessels

Explanation: In TOF heart will be normal in size. In ebstein anomaly first heart sound is split. Ref : Ghai essential of pediatrics, eighth edition, p.no:424